In the study of latent finger prints, Poroscopy involves _____ level detail in individualization on ridge formations.
1. First
2. Second
3. Third
4. Fourth

Correct answer: 3. Third

Explanation: Poroscopy is arrangement of sweat pores in between the ridges. Fingerprint study is done in different levels. Level I : study of different pattern. i) Loop ii) Whorls iii) Arch iv) Composite Level II : study of ridge islands i) Lates ii) Delta iii) Core Level III : every ridge is examined. i) Ridge bifurcation ii) Union iii) Ending